Schiller - Duval bodies are seen in -
1. Teratoma
2. Seminoma
3. Yolk sac tumour
4. Chorio Carcinoma

Correct answer: 3. Yolk sac tumour

Explanation: It is the characteristics feature of yolk sac tumor ( endodermal sinus). This is a glomerulus like structure composed of central blood vessel enveloped by germ cell within a space lined by germ cell